Most cost effective family planning method is:-
1. Vasectomy
2. Tubectomy
3. Copper T
4. Oral pills

Correct answer: 1. Vasectomy

Explanation: Sterilization is the most cost-effective contraceptive measure. - Vasectomy is most effective sterilization method than tubectomy. - Cost wise ratio is 5 vasectomies to 1 tubectomy.